Condyloma acuminata is caused by-
1. HPV
2. HSV
3. HIV
4. All

Correct answer: 1. HPV

Explanation: Condyloma acuminatum (also known as genital was or anogenital was) refers to an epidermal manifestation attributed to the epidermotropic human papillomavirus (HPV), as in the images below.Approximately 90% of condylomata acuminata are related to HPV types 6 and 11 Ref Harrison20th edition pg 1334